Not true about pyretheum
1. Negetable origin
2. Contact poison
3. Stomach poison
4. Used as space spray

Correct answer: 3. Stomach poison